Which of the following pathways do not produce any ATP
1. Uronic acid pathway
2. HMP pathway
3. Rapoport luebering shunt
4. All of the above

Correct answer: 4. All of the above

Explanation: RL shunt, HMP shunt, Uronic acid pathway, Oxidation of very long chain fatty acids, alpha oxidation of fatty acids do not produce any ATP.